Which of the following is true about medullary CA of thyroid -
1. Associated with MET oncogene
2. Elavated levels of Serum calcitonin
3. Seen in MEN I syndrome
4. Most common thyroid cancer

Correct answer: 2. Elavated levels of Serum calcitonin

Explanation: Ans. is 'b' i.e., Elavated levels of Serum calcitonin o In Medullary carcinoma serum calcitonin is increased, whose function is to lower serum calcium levels. So hypocalcemia may be found associated with MTC.# Seen in MEN IIA and B# Associated with RET Protooncogeneo MTC secrets not only calcitonin but also some other peptides such as :# CEA# CGRP (Calcitonin gene-related peptide)# Histaminadases# Prostaglandin E2 and F2# Serotonin# ACTH (may lead to cushing syndrome in about 2 to 4% of pts.)